All are peripherally acting muscle relaxants except?
1. Mivacurium
2. Atracurium
3. Chlorzoxazone
4. Dantrolene

Correct answer: 3. Chlorzoxazone

Explanation: Ans. is 'c' i.e., Chlorzoxazone